To find out whether the water has been properly chlorinated, the test used is -
1. Horrock's test
2. Oho-toludine test
3. Presumptive col i form test
4. Total bacterial count

Correct answer: 2. Oho-toludine test

Explanation: Ans. is 'b' i.e., Oh o-toludine test